Intermediate filament characteristic of Fibroblasts?
1. Lamin A
2. Vimentin
3. Desmin
4. Cytokeratin

Correct answer: 2. Vimentin

Explanation: Intermediate filaments are 10-nm diameter fibrils that comprise a major class of cytoskeletal proteins in eukaryotic cells.Individual types have characteristic tissue-specific patterns of expression that can be useful for assigning a cell of origin for poorly differentiated tumors.Intermediate filamentsSpecific tissueLamin A, B, and CNuclear lamina of all cellsVimentinMesenchymal cells (fibroblasts,endothelium)DesminMuscle cells, forming the scaffold on which actin and myosin contractNeurofilamentsAxons of neurons, imparting strengthand rigidityGlial fibrillary acidic proteinGlial cells around neuronsRef: Robbins and Cotran Pathologic Basis of Disease; 9th edition; Chapter 1; The Cell as a Unit of Health and Disease; Page no: 11